Characteristic skin lesion in Peutz -Jeghers syndrome is
1. Freckles
2. Lentigens
3. Adenoma sebaceum
4. Cafe -au- lait macules

Correct answer: 2. Lentigens

Explanation: Peutz Jegher syndrome. Peutz-Jeghers syndrome- Autosomal dominant - Lentigens (increased melanocytes leading to hyperpigmented macules) - Site of lentigen - Perioral(lips),Buccal mucosa - Associated with GI polyp. (MC : Jejunal hamartoma)Freckles /ephelides* It is increased localized melanogenesis.* Normally seen in fairer skin colour (Skin type I,II)* Become dark on sun exposure Adenoma Sebaceum is seen in Tuberous sclerosis aka epiloia Cafe au lait macules is seen in Neurofibromatosis (dark color lesion over lighter skin).